Commonest trophozoite infection by sexual intercourse-
1. Entamoeba histolytica
2. Trichomonas vaginalis
3. Trepanoma palidium
4. Giardia intestinales

Correct answer: 2. Trichomonas vaginalis